All are associated with wilms tumour except one -
1. Anirida
2. Male pseudohermaphrodite
3. Arthogryposis multiplex congenita
4. Hernihypertrophy

Correct answer: 3. Arthogryposis multiplex congenita